True about Hypercalcemia -a) Rx of the primary causeb) Malignancy dose not produce hypercalcemiac) IV. fluid with Frusemide is givend) Amidronate is not effective
1. a
2. bc
3. ad
4. ac

Correct answer: 4. ac